Cardiovascular findings in an elderly Thyrotoxicosis patient are all, except -
1. Early diastolic murmur
2. Systolic ejection murmur
3. Scratch in left 2nd inter costal space
4. Irregularly Irregular pulse

Correct answer: 1. Early diastolic murmur